Latent infection occurs in the following except
1. Mumps
2. Herpes simplex
3. Brill-zinsser disease
4. Ancylostomiasis

Correct answer: 1. Mumps

Explanation: Ans. is 'a' i.e., Mumps